Which of the following is tarsometatarsal amputation?
1. Sarmiento's Amputation
2. Lisfranc's Amputation
3. Chopart's Amputation
4. Syme's Amputation

Correct answer: 2. Lisfranc's Amputation

Explanation: Ans. is 'b' i.e., Lisfranc's Amputation AmputationLevelSyme's Amputationthrough ankle joint (0.6 cm proximal)Sarmiento's Amputation1.3 cm proximal to ankle jointWagner Amputationtwo stage syme's amputationChopart's Amputationthrough midtarsal jointsLisfranc's Amputationthrough tarso-metatarsal jointsPirogoff's Amputationanterior part of calcaneum is removed